All are true about Decerebrate posture except:-
1. Extension of both upper and lower extremity
2. Flexion of upper extremity and extension of lower extremity
3. Exaggerated gamma motor neuron discharge
4. Reticulo spinal tract is also involved

Correct answer: 2. Flexion of upper extremity and extension of lower extremity

Explanation: Decerebrate rigidity: When brain stem of animal is sectioned below midlevel of mesencephalon but pontine & medullary reticular systems as well as vestibular system are intact, this is decerebrate animal This results in rigidity of antigravity muscles a muscles of neck & trunk & extensors (i.e all extensors go into spasm) This decerebrate rigidity is due to blockage of normally strong input to medullary reticular nuclei from cerebral cortex, Red nuclei & the basal ganglion. Lacking this input, medullary reticular inhibitor system becomes nonfunctional, full overactivity of pontine excitatory system occurs & rigidity develops. (Due to exaggerated gamma motor neuron discharge) Decorticate rigidity: Thick layer of cortex is removed & all other structures are preserved. This results in decorticate rigidity a flexors of upper limb & extensors of lower limb goes into spasm (flexion).